Commonest site of meningocele is -
1. Lumbosacral
2. Occipital
3. Frontal
4. Thoracic

Correct answer: 1. Lumbosacral

Explanation: Ans. is 'a' i.e., Lumbosacral